Marsupialization is the procedure done for:
1. Bartholin's cyst
2. Carcinoma cervix
3. Chronic cervictis
4. Endometriosis

Correct answer: 1. Bartholin's cyst

Explanation: Ans. A: Bartholin's cyst A small bartholin's cyst remains asymptomatic, but a larger one bulges across the vaginal introitus and causes dyspareunia, discomfort and may get infected when it needs excision or marsupialization